All of the following are decreased in nephrotic syndrome, except -
1. Serum transferrin
2. Serum fibrinogen
3. Serumceruloplasmin
4. Serum albumin

Correct answer: 2. Serum fibrinogen

Explanation: Ans. is 'b' i.e., Serum Fibrinogen o Fibrinogen level is increased in nephrotic syndrome d/t increased hepatic synthesis of fibrinogen,o The largest proportion of protein lost in urine is albumin.o Sometimes, globulins can also be excreted -Immunoglobulin excretion increases the susceptibility of infection.o Other proteins which are decreased -* Transferrin-Microcytic hypochromic anemia.* Cholecalciferol binding protein-hypocalcemia* Thyroxine binding globulin-decreased thyroxine level.* Antithrombin III-hypercoagulability* Ceruloplasmin Causes of Hypercoagulability in nephrotic syndromeo Loss of anti thrombin IIIo Increased synthesis of fibrinogen by liver,o Altered activity of protein C and So Increased platelet aggregability.o Hypercoagulability can cause renal vein thrombosis.